Which of the following  is the longest acting NSAID?
1. Aspirin
2. Piroxicam
3. Ibuprofen
4. Acetaminophen

Correct answer: 2. Piroxicam

Explanation: Piroxicam is the longest acting NSAID because of "enterohepatic recycling".